Rupture of Berry aneurysm causes
1. Extradural hemorrhage
2. Subdural hemorrhage
3. Subarachnoid hemorrhage
4. Intracerebral hemorrhage

Correct answer: 3. Subarachnoid hemorrhage

Explanation: Subarachnoid hemorrhage Rupture of sacular Berry aneurysm which is usually located in one of the vessels in the Circle of Willis. Berry aneurysm occurs due to congenital defect or degenerative change in the muscle layer and internal elastic lamina. Only the initimal layer and adventitia of the artery form the dome of the aneurysm. Ref: FORENSIC MEDICINE AND TOXICOLOGY Dr PC IGNATIUS THIRD EDITION PAGE 174